Munsell system is used to:
1. Deﬁne and measure colour qualitatively
2. Deﬁne and measure physical properties of gold alloys
3. Evaluate brittleness of diﬀerent alloys
4. Measure diﬀerent colours quantitatively

Correct answer: 4. Measure diﬀerent colours quantitatively

Explanation: Munsell system is used to measure diﬀerent colours quantitatively.